A mother brings her 5-year-old boy to see you as a General Physician. On examination, he has red eyes, dry, cracked lips and a rash on his hands and feet. He also has cervical lymphadenopathy. What is the most important investigation to rule out a serious complication of this condition?
1. Blood pressure
2. ECG
3. Echocardiography
4. Blood tests for autoantibodies

Correct answer: 3. Echocardiography

Explanation: Kawasaki disease (Mucocutaneous Lymph node Syndrome) Risk to develop coronary artery vasculitis Risk of MI due to presence of aneurysms in coronary artery. So echocardiography is useful Complications of persistent coronary artery aneurysms include rupture, thrombosis and recanalization, and stenosis at the outflow area. Complication like Myocardial ischaemia and pericarditis can be diagnosed with E.C.G Rx= Aspirin +IV Ig